A 45-year-old man has recently been the recipient of a heart transplant. Which one of the following drug is least likely to cause tachycardia in this patient
1. Amphetamine
2. Dobutamine
3. Epinephrine
4. Norepinephrine

Correct answer: 1. Amphetamine

Explanation: The transplanted heart doesn't have sympathetic innervation. Hence an indirectly acting sympathomimetic like Amphetamine has the least likelihood of causing tachycardia when compared to the directly acting ones.